Scholastic performance is impaired in all of the following, except :
1. Attention Deficit Hyperactivity Disorder (ADHD)
2. Specific Learning Disability (SLD)
3. Anxiety
4. PICA

Correct answer: 4. PICA

Explanation: Pica is a psychological disorder characterized by an appetite for substances that are largely non - nutritive, such as ice (pagophagia) ; hair (trichophagia) ; paper (xylophagia) ; drywall or paint ; metal (metallophagia) ; stones (lithophagia) or soil (geophagia) ; glass (hyalophagia) ; faeces (coprophagia) ; and chalk.